Which tract controls the skilled voluntary movements?
1. Lateral corticospinal tract
2. Tectospinal tract
3. Rubrospinal tract
4. Reticulospinal tract

Correct answer: 1. Lateral corticospinal tract

Explanation: Lateral corticospinal tract REF: Ganong's 22"' ed chapter 12 "The lateral corticospinal tract is concerned with skilled movements" See APPENDIX-15 for details